Sigmoid volvulus rotation occurs
1. Clockwise
2. Anticlockwise
3. Both clockwise and anti clockwise
4. Axial in direction

Correct answer: 2. Anticlockwise

Explanation: Rotation nearly always occurs in the anticlockwise direction. predisposing medical causes are: Overloaded pelvic colon Long pelvic mesocolon Band of adhesions (peridiverticulitis ) Narrow attachment of pelvic mesocolon high residue diet constipation Ref: Bailey & Love's Short Practice of Surgery,E25,Page-1192